The X-ray below shows a patient with scoliosis. What is the angle to measure the severity of curve called as?
1. Reisser's angle
2. Boston's angle
3. Cobb's angle
4. Milwaukee's angle

Correct answer: 3. Cobb's angle

Explanation: Ans. C. Cobb's angleCobb's angle is formed by a line drawn along the superior margin of the topmost vertebra and another line drawn along the lower margin of the bottom vertebra. Greater the angle, greater is the severity of the scoliotic curve.